Cephalhematoma:
1. Is caused by oedema of the subcutaneous layers of the scalp
2. Should be treated by aspiration
3. Most commonly lies over the occipital bone
4. Does not vary in tension with crying

Correct answer: 4. Does not vary in tension with crying

Explanation: Cephalhaematoma:

Collection of blood in between the pericranium and the flat bone of the skull due to rupture of a small emissary vein from the skull. It may be associated with fracture of the skull bone.
Usually unilateral.
Lies over a parietal bone.
Caused generally by forceps delivery but may also be met with following a normal labour.
Ventouse application does not increase the incidence of cephalhaematoma.
It is never present at birth but gradually develops after 12-24 hours of birth and disappears by 6-8 weeksQ.
It is circumscribed, soft, fluctuant, and incompressible.
The swelling is limited by the suture lines of the skullQ as the pericranium is fixed to the margins of the bone.
No active treatment is necessary.
Prognosis is good.

Meningocele always lies over a suture line or fontanelle and there is impulse on crying.